Which of the following bone tumors produce that characteristically responds to aspirin?
1. Osteoma
2. Osteoid osteoma
3. Osteoblastoma
4. Osteoclastoma

Correct answer: 2. Osteoid osteoma

Explanation: Pain in osteoid osteoma is due to PGE2 production it produces characteristic nocturnal pain and that responds to aspirin.